Which of the following drugs requires a dose adjustment in patient during radiotherapy in order to prevent radiation toxicity:
1. Vincristine
2. Dactinomycin
3. Cyclophosphamide
4. 6-Mercaptopurine

Correct answer: 2. Dactinomycin

Explanation: Ans. B i.e. Dactinomycin